Metabolism of amide local anesthetic is slowed in which of the following condition
1. Liver cirrhosis
2. Acute renal failure
3. Pseudocholinesterase deficiency
4. Chronic renal failure

Correct answer: 1. Liver cirrhosis

Explanation: Decreasing systemic absorption of local anesthetics increase their safety margin in clinical uses. The rate and extent of systemic absorption depends on the site of injection, the dose, the drugs intrinsic Pharmacokinetic properties and the addition and cytochrome P450 enzymes. Severe liver disease may slow the clearance of amino amide local anesthetics and significant drug levels may therefore accumulate.